A depot contraceptive DMPA is to be given in every:
1. 1 month
2. 2 months
3. 3 months
4. 6 months

Correct answer: 3. 3 months

Explanation: 3 months